Adam's apple seen in boys is because of:
1. Hyoid bone
2. Tracheal rings
3. Thyroid cartilage
4. Cricoid cartilage

Correct answer: 3. Thyroid cartilage

Explanation: Prominance of Thyroid cartilage (because of sharp angle) in males is called Adam's apple. Thyroid cartilage with right and left lamina both meet at midline and form an angle of 90deg in males, 120deg in females. At rest it lies at level of C3